Vitamin K dependent clotting factors include all EXCEPT
1. Factor VII
2. Factor VIII
3. Prothrombin
4. Facor IX

Correct answer: 2. Factor VIII

Explanation: VITAMIN K DEPENDENT CLOTTING FACTORS ARE:

Factor II (Prothrombin)
Factor VII (Proconvertin/Stable factor)
Factor IX (Christmas factor/ Antihemophilic Factor B)
Factor X (Stuart Prower factor)
Protein C
Protein S NOTE' Clotting factors inhibited by Antithrombin III are: Factor IX, X, XI & XII